Infected gangrene of skin and subcutaneous tissues is ?
1. Dry gangrene
2. Wet gangrene
3. Erysipelas
4. None of the above

Correct answer: 2. Wet gangrene

Explanation: Answer- B. Wet gangreneWet gangene When overlying skin of dry gangrenous tissue is devitalized, bacterial infection is superimposed.More commonly due to venous occlusion then arterial occlusion.